Asche's forceps are used to:
1. To reduce nasal complex fracture.
2. Extraction of lower incisors
3. To elevate fractured zygomatic bone
4. To extract the molars.

Correct answer: 1. To reduce nasal complex fracture.